Bloom Richardson staging is for?
1. Prostate cancer
2. Breast cancer
3. Ovarian cancer
4. Penile cancer

Correct answer: 2. Breast cancer

Explanation: Ans. (b) Breast cancer(Ref Internet source)Bloom and Richardson grading for cancer breast is based on* Tubules formation* Nuclear pleomorphisms* Mitotic counts